Which of the following statements is true about rabies virus -
1. It is double stranded RNA virus
2. Contains a DNA-dependent RNA polymerase
3. RNA has a negative polarity
4. Affects motor neurons

Correct answer: 3. RNA has a negative polarity

Explanation: The genome of Rabies virus is an unsegmented linear negative sense RNA. REF:ANANTHANARAYAN AND PANIKER'S TEXTBOOK OF MICROBIOLOGY 9TH EDITION PAGE NO-530